True about pilocytic astrocytoma all except -
1. Long survival
2. Total surgical resection possible
3. Can involve posterior fossa
4. Median age at presentation is more than 80 years

Correct answer: 4. Median age at presentation is more than 80 years

Explanation: Pilocytic astrocytomas are relatively benign tumors, typically affecting children and young adults. Most commonly located in the cerebellum, they also may involve the third ventricle, the optic pathways, spinal cord, and occasionally the cerebral hemispheres. There is often a cyst associated with the tumor, and symptomatic recurrence from incompletely resected lesions is often associated with cyst enlargement, rather than growth of the solid component. Tumors that involve the hypothalamus are especially problematic because they cannot be resected completely. Ref: Robbins Basic Pathology 9th edition pg no 843